Diameter of head mirror in ENT is:
1. 20 cm
2. 22 cm
3. 10 cm
4. 26 cm

Correct answer: 3. 10 cm

Explanation: Ans. is c i.e. 10 cm Diameter of the head mirror used in ENT is 89 mm (3andRt half inch).